A newborn has a posterior mediastinal cystic mass with several vertebral anomalies. The most likely diagnosis would be which of the following?
1. Neuroblastoma
2. Bronchogenic cyst
3. Neuroenteric cyst
4. Myelocele

Correct answer: 3. Neuroenteric cyst

Explanation: Neuroenteric cyst / esophageal duplication cyst is round or tubular lesion occurring in the lower posterior mediastinum, which often distort esophagus but only rarely communicate with the esophageal lumen a chest x-ray may show a right-sided mediastinal mass and associated vertebral anomalies like hemivertebra, block vertebra, butterfly vertebra or spina bifida, if present.